Delusion is a disorder of?
1. Thought
2. Personality
3. Memory
4. Cognition

Correct answer: 1. Thought

Explanation: Ans. (a) ThoughtRef. Kaplan 9th ed. /281